Most common cause of Asherman's svndrome-
1. Dilatation & curettage
2. Tubercular endometritis
3. Amenorrhea
4. Oligomenorrhea

Correct answer: 1. Dilatation & curettage

Explanation: Ans. is "a' i.e.. Dilatation & curettage o It is a condition characterized by adhesions and/or fibrosis of the endometrium most often associated with dilation and curettage of the intrauterine cavity.o The history of a pregnancy event followed by a D&C leading to secondary' amenorrhea or hvpomenorrhea is typical,